Lallo 40 years has recently started writing books. But the matter in this book could not be understood by anybody since it contained words which were never there in any dictionary and the theme was very disjoint. Now adays he has become very shy and self absorbed. When he addresses people he speaks about metaphilosophical ideas. What is likely diagnosis
1. Mania
2. Schizophrenia
3. A genius writer
4. Delusional disorder

Correct answer: 2. Schizophrenia

Explanation: B i.e. Schizophrenia